A 10 year old boy presents with mucosal bleeding of 1 week duration. The investigation of choice that will be most useful in him is –
1. Prothrombin time
2. Clotting time
3. Partial thromboplastin time
4. Platelet count

Correct answer: 4. Platelet count

Explanation: Bleeding from mucosal surface suggests thrombocytopenia or defect in platelet function.
First do platelet count, if there is thrombocytopenia, further investigation will be required.